True for alpha waves are all EXCEPT:
1. Synchronized waves
2. Awake state, eyes closed
3. Frequeny of 8-13 cycles/ sec
4. Predominantly recorded from temporal region

Correct answer: 4. Predominantly recorded from temporal region

Explanation: Ans. D i.e. Predominantly recorded from temporal regionWaves of alpha rhythm are most marked in parieto-occipital area